Not a carcinogenic for cancer of Head & Neck -
1. Alcohol
2. Smoking
3. Tobacco
4. Unflourinated water

Correct answer: 4. Unflourinated water